'Chocolate or Coffee brown' postmortem staining is s With___ toxicity-
1. Carbon monoxide
2. KCN
3. Phosphorus
4. Potassium chlorate

Correct answer: 4. Potassium chlorate

Explanation: Ans. d (Potassium chlorate) (Ref. Parikh FMT, p 3.10)Typically, lividity has aPurple or reddish-purple colorationCarbon monoxide poisoning"Cherry red"Potassium chlorate, nitrates, and aniline poisoning (methb formed)Chocolate brownCyanide poisoningPink, bright scarlet, and violet.Deaths from exposure to coldBright pinkLIVOR MORTIS (HYPOSTASIS, POSTMORTEM LIVEDITY/ SUGGILLATIONS)# Lividity is a dark purple discolouration of the skin resulting from the gravitational pooling of blood in the veins and capillary beds of the dependent parts of the body following cessation of the circulation.# The development of lividity is too variable to serve as a useful indicator of the time of death.# Slight lividity may appear shortly before death in individuals with terminal circulatory failure.# Conversely, the development of lividity may be delayed in chronic anemia or massive terminal hemorrhage.# After about 10-12 hours the lividity becomes "fixed" and repositioning the body, e.g., from the prone to the supine position, will result in a dual pattern of lividity since the primary distribution will not fade completely.# Most texts agree that lividity attains its maximum intensity at around 12 hours postmortem.# Adelson states that lividity "ordinarily becomes perceptible within 1/2 to 4 hours after death, is well developed within the next 3 or 4 hours, and attains its maximum degree between 8 and 12 hours postmortem. After 8 to 12 hours lividity becomes "fixed" and will remain where it originally formed".The time required for the fixation of postmortem staining falls within the range of 6 to 12 hours.